Long acting local anesthetic is – a) Procaineb) Lignocainec) Bupivacained) Etidocaine
1. ab
2. bc
3. cd
4. ac

Correct answer: 3. cd

Explanation: Bupivacaine and Etidocaine are long acting.
Lignocaine is intermediate acting.
Procaine is short acting.